High carbohydrate diet can precipitate -
1. Hypokalemic periodic paralysis
2. Hyperkalemic periodic paralysis
3. Hysterical paralysis
4. Myasthenia gravis

Correct answer: 1. Hypokalemic periodic paralysis